Prefilaggrin is found in which layer of epidermis?
1. Stratum corneum
2. Stratum granulosum
3. Stratum spinosum
4. Stratum basale

Correct answer: 2. Stratum granulosum

Explanation: Prefilaggrin(precursor molecule) is found in the keratohyaline granules present in the stratum granulosum. Filaggrin is most abundantly present in Stratum corneum. Filaggrin - helps in filament aggregation